\r\nWhat percentage solution of Cresol is needed for disinfection of faeces and urine?
1. 5
2. 10
3. 15
4. 20

Correct answer: 1. 5

Explanation: Suitable agents for disinfection of faeces and urine 1 Cresol 5% 2 Crude petrol 10% 3 Bleaching powder 5% 4 Formalin 10% 5 Aqua suspension of lime 10 - 20 % Ref: Park, 21st Edition, Page 119